Cholinesterase activators a useful for the treatment of which poisoning
1. Paraquat
2. Parathion
3. Carbamate
4. Organochlorocompounds

Correct answer: 2. Parathion

Explanation: Refer kDT 6/e p 105 Cholinesterase Activator, Antidote to organophosphate poisoning, as long as it is administered within first half-hour, before aging occurs.